A woman presents at term pregnancy for first antenatal visit and tests positive for HIV in screening and confirmatory tests. Next step in management is?
1. Start ART after clinical staging
2. Plan an early delivery and start ART after it
3. Start ART immediately
4. Start ART after CD4 counts

Correct answer: 3. Start ART immediately

Explanation: Lifelong ART is to be initiated in all pregnant women with confirmed HIV infection regardless of WHO clinical stage or CD4 counts. Samples for CD4 counts must be taken before starting ART, but there is no need to wait for reports. TDF+3TC+EFV is recommended as first line ART in pregnant and breast feeding women, including women in their first trimester and women of childbearing age. (NOTE: EFAVIRENZ IS NOT CONTRAINDICATED IN PREGNANCY)